Which of the following enters the TCA cycle at succinyl-CoA step ?
1. Histidine
2. Methionine
3. Tryptophan
4. Tyrosine

Correct answer: 2. Methionine

Explanation: 4 amino acids enter at Succinyl-CoA step : Valine, Isoleucine, Methionine Threonine.